A 15 year old male has nominal aphasia. There is also history of scanty, foul smelling discharge in the past. The patient reports of some bleeding when cleaning the ear. Which of the following is the most likely diagnosis?
1. Extradural abscess
2. Temporal lobe abscess
3. Cavernous thrombosis
4. Lateral sinus thrombophlebitis

Correct answer: 2. Temporal lobe abscess

Explanation: Ans. is'b'i.e., Temporal lobe abscesslRef: Dhingra Sh/e p. 85Otogenic brain abscessEar infections are the most common cause of brain abscess.Most common site of cerebral abscess is temporal lobe.Due to increased ICT.HeadacheNausea/vomitingLethargy progressing to drowsiness, confusion, stupor and coma.